Glass vessels and syringes are best sterilised by ?
1. Hot air oven
2. Autoclaving
3. Irradiation
4. Ethylene dioxide

Correct answer: 1. Hot air oven

Explanation: Hot Air Oven Is Used To Sterilise Glass Ware, Forceps, Scissors, Scalpel, All Glass Syringes, Swabs, Some Pharmaceutical Products Such As Liquid Paraffin, Dusting Powder, Fats And Grease. REF:Ananthanarayan and Panicker's Textbook ofMicrobiology 8thEdition pg no:31